Carbon dioxide is present maximally in
1. Dissolved form
2. HCO3 form
3. RBC's
4. Plasma

Correct answer: 2. HCO3 form

Explanation: Bicarbonate (HCO3-) is an anion of carbonic acid in which only one of the hydrogen atoms have been removed, as in sodium bicarbonate (NaHCO3). Also called hydrogen carbonate.Ref: Ganong's review of medical physiology; 23ed edition, page no: 612